CLO test is used for
1. H. pylori
2. Brucella
3. Gonorrhoea
4. EBOLA

Correct answer: 1. H. pylori

Explanation: Ans. is 'a' i.e., H. pylori CLO test is another name for campvlobacter-like organism test :-o Rapid urease test, also known as the CLO test (Campylobacter-like organism test), is a rapid diagnostic test for diagnosis of Helicobacter pylori.o The basis of the test is the ability ofH. pylori to secrete the urease enzyme, which catalyzes the conversion of urea to ammonia and carbon dioxide.o The urease produced by H. pylori hydrolyzes urea to ammonia, which raises the pH of the medium, and changes the color of the specimen from yellow (Negative) to red (Positive).